First step in management of blunt trauma abdomen is
1. DPL
2. CECT
3. X-ray abdomen erect
4. FAST

Correct answer: 4. FAST

Explanation: FAST (Focussed Abdominal Sonar Trauma): Rapid, non-invasive, portable bedside method of investigation focusing on pericardium, splenic, hepatic, and pelvic vessels. Blood more than 100ml in cavities can be identified. Not reliable for bowel or penetrating injuries. Ref : SRB's 4thE pg:149